Circuit of choice for controlled ventilation
1. Magill circuit
2. Type C
3. Type D
4. Type E

Correct answer: 3. Type D

Explanation: Bains co-axial system is used in controlled ventilation.Fresh gas flow required to prevent rebreathing is 1.6MV.